In lymphoplasmacytoid lymphoma which of the following monoclonal immunoglobulin is seen?
1. IgA
2. IgD
3. IgG
4. IgM

Correct answer: 4. IgM

Explanation: Lymphoplasmacytoid lymphoma /Waldenstrom's Macroglobulinemia. The majority of patients in this disease have monoclonal IgM serum para-protein. In contrast to myeloma, the disease was associated with lymphadenopathy and hepatosplenomegaly,but the major clinical manifestation was the hyperviscosity syndrome.